Tumours of anterior mediastinum include the following except ?
1. Thymoma
2. Lymphoma
3. Germ cell tumour
4. Schwanoma

Correct answer: 4. Schwanoma

Explanation: Ans. is d i.e., Schwanoma